All of the following are true about bacillus anthracis except -
1. Plasmid is responsible for toxin production
2. Cutaneous anthrax generally resolve spontaneously
3. Capsular polypeptide aids virulence by inhibiting phagocytosis
4. Toxin is a complex of two fractions

Correct answer: 4. Toxin is a complex of two fractions